Xanthurenic acid is produced in
1. Tyrosine metabolism
2. Tryptophan metabolism
3. Cysteine metabolism
4. Valine metabolism

Correct answer: 2. Tryptophan metabolism

Explanation: In the metabolism of Tryptophan, Kynurenin is an intermediate step. The accumulated Kynurenine is shunted to Xanthurenic acid. So, in pyridoxal deficiency, Xanthurenic acid is excreted in the urine.Ref: DM Vasudevan - Textbook of Biochemistry, 7th edition, page no: 240